Following bacterias are most often associated with acute neonatal meningitis, EXCEPT:
1. Escherichia coli
2. Streptococcus agalactiae
3. Listeria monocytogenes
4. Neisseria meningitidis

Correct answer: 4. Neisseria meningitidis

Explanation: Neisseria meningitidis usually affects younger children and 1-4 months of age. Neonatal cases are rarely seen. Upon Gram staining, it appears as a Gram-negative diplococcus and cultures of the bacteria test positive for the enzyme oxidase. There are several different groups of meningococcal bacteria including Groups A, B, C, Y and W135. Ref:Kligman, Behrman, Jenson, Stanton (2008), Chapter 190, "Neisseria meningitidis", In the book, "Nelson's Textbook of Pediatrics", Volume 1, 18th Edition, New Delhi, Page 1164